Prolonged carbohydrate deficiency leads to?
1. Metabolic alkalosis
2. Ketoacidosis
3. Vitamin C deficiency
4. Respiratory acidosis

Correct answer: 2. Ketoacidosis